Postoperative apnoea in the neonates is due to
1. Over dose of relaxant
2. Overdose with inhalation agent
3. Concurrent aminoglycoside antibiotics
4. All of the above

Correct answer: 4. All of the above

Explanation: (All of the above) (499-Lee 's anaesthesia 12th)Causes of post operative apnoea in the neonates are1. Immaturity2. Hypothermia 34 C or below3. Overdose of relaxant4. Overdose with inhalation agent5. Potentiation of non-depolarizing relaxant by volatile anaesthetic agents6. Concurrent aminoglycoside antibiotics7. Overdose of opioid analgesics8. A combination of the abvoeIndication for intubation of the neoborn and short term intermittent positive-pressure ventilation-546-Lees1. Central cyanosis for more than 3 min2. Bradycardia less than 100 bpm for more than 3 minutes3. Apnoea for more than 3 min4. 'White asphyxia' i.e. skin vasoconstriction5. Cardiac arrest or depression6. Apgar score of 0-2